Which inhalational anesthetic agent has analgesic effect-
1. Xenon
2. Desflurane
3. Isoflurane
4. Sevoflurane

Correct answer: 1. Xenon

Explanation: Potent inhalational agent does not have analgesic effect. Carrier gases N2O and Xenon provides good analgesic.